The infectivity, of chicken pox lasts for -
1. Till the last scab falls off
2. 6 days after onset of rash
3. 3 days after onset of rash
4. Till the fever subsides

Correct answer: 2. 6 days after onset of rash

Explanation: Ans. is 'b' i.e., 6 days after onset of rash